Bacteria with safety pin appearance:
1. H. influenzae
2. Vibrio parahaemolyticus
3. Vibrio vulnificus
4. Salmonella paratyphi

Correct answer: 2. Vibrio parahaemolyticus

Explanation: Ans. is. 'b' i. e., Vibrio parahaemolyticus